A community has a population of 10,000 and a birth rate of 36 per 1000. 5 maternal deaths were reported in current year the MMR is -
1. 14.5
2. 13.8
3. 20
4. 5

Correct answer: 2. 13.8

Explanation: applying the formula for maternal mortality ratio = Total number of maternal deaths= 5 Birth rate per 1000 population =36 Therefore Total number of births 100000 population = 100000/1000x36 =360 Applying formula for MR =5/360x1000 =13.88 Reference Park's textbook of preventive and social medicine 23rd edition pg 557